The CSF findings in tubercular meningitis include:
1. High sugar + low protein
2. Low sugar + high protein and lymphocytosis
3. High sugar + high chloride
4. Low sugar + high protein and lymphopenia

Correct answer: 2. Low sugar + high protein and lymphocytosis

Explanation: Ans. B. Low sugar + high protein and lymphocytosisMeningitis is a serious manifestation of childhood tuberculosis. It may occur at any age but is most common between 6 months-24 months. There is usually a focus of primary infection or military tuberculosis. The onset is usually insidious and clinical features are divided into 3 phases. Diagnosis rests on a good history, clinical examination and may be confirmed with a lumbar puncture and neuroimaging. Lumbar puncture may reveal raised intracranial pressure with lymphocytic pleocytosis (100-500cells/mm3), elevated protein, mild hypoglycorrhachia and low chloride. CECT mat reveal basal exudates, tuberculoma and hydrocephalus